A missile hits the body just above the pubic ramus through the ant abdominal wall it will pierce which of the following structure:
1. Urinary bladder
2. Spinal cord
3. Left renal vein
4. Abdominal aorta

Correct answer: 1. Urinary bladder

Explanation: A. i.e. Urinary bladder Pubic symphysis lies at the level of tip of coccyx & termination of aorta is at L4; termination of spinal cord at L1; & left renal vein lies at L2 vertebral level. So only structure which could be damaged is urinary bladder as it may reach upto umbilicus or even higher when filled. (empty bladder lies within pelvis).StructuresLevel (Cervico thoracic)StructuresLevel (Lumbar)StructuresLevel (Sacro-coccygeal)- Trachea- Trachealbifurcation- From lower border ofcricoid cartilageopposite Ch to upperborder of T5- - T5Q- Celiac TrunkSuperior mesentericarteryStomach pylorus- Spinal cordtermination- T12/1,1Q- LiQ- L1 (lower border in adults)Qand L3 (new born)Q- ASIS- Pubicsymphysis- Sacral promontory- Tip of coccyx - Arch of aorta- Begins anteriorly &ends posteriorly at T4QPancreasLeft Renal Vein- L1 LP- L2(2 - Xiphoidprocess- T9QInferior mesentericartery- L3(2 - Spleen- Obliquely along axisof 10th ribQUmbilicusTermination of aorta- L3 / L4L4Q Iliac crest (highestpoint) Trans tubercularplane-